25 year old patient presented with mass in rt iliac fossa. Which after laparotomy was found to be carcinoid of 2.5 cm. in diameter. What will be next step in management -
1. Segmental resection
2. Appendicetomy
3. Rt. hemicolectomy
4. Do yearly 5 HIAA assay.

Correct answer: 3. Rt. hemicolectomy